Painful arc syndrome is seen in all of the following conditions, EXCEPT:
1. Complete tear of supraspinatus
2. Fracture of greater tuberosity
3. Subacromial bursitis
4. Supraspinatus tendinitis

Correct answer: 1. Complete tear of supraspinatus

Explanation: Conditions associated with painful arc syndrome are subacromial bursitis, supraspinatus tendinitis, in incomplete tear or calcified deposit in supraspinatus tendon and in incomplete fracture of greater tuberosity of humerus. In painful arc syndrome pain appears between 40 and 120 degree of shoulder abduction because in this position supraspinatus tendon is impinged against the undersurface of acromion and head of humerus. Rest of the movements are painless. Causes of impingement syndrome are: Complete or partial rupture of rotator cuff Supraspinatus tendonitis Calcific deposits Subacromial bursitis Subdeltoid bursitis Periarthritis Bicipital tenosynovitis Fracture of greater trochanter Ref: Essentials of Orthopaedics for Physiotherapist By Ebneza page 231.